Richest source of retinoids is?
1. Cod liver oil
2. Halibut liver oil
3. Butter
4. Margarine

Correct answer: 2. Halibut liver oil

Explanation: Ans. (b) Halibut liver oilRef: Harper's Biochemistry 27/e, chapter 44, Textbook of medical biochemistry S. Ramakrishnan 3/e, p 393